All of the following strategies are effective in preventing mother to child transmission of IV, except -
1. Zidovudine to mother & baby
2. Vaginal cleansing before delivery
3. Stopping breast feeding
4. Elective caesarean section

Correct answer: 2. Vaginal cleansing before delivery

Explanation: Methods to prevent vertical transmission
a) Antiretroviral prophylaxis-

Vertical transmission can be prevented substantially by giving antiretroviral therapy to mother and early prophylaxis to newborn.

b) Caesarean delivery -

Elective caesarean section reduces the risk of transmission by 50% in women with or without ZDV treatment.

c) Breast feeding -

Because breast milk can carry the virus, breastfeeding by HIV infected mothers is contraindicated.
However, Dutta/obs writes -

"In the developing world, where alternative forms of infant nutrition are not safe, the minor risk associated with breastfeeding may be accepted. Mother is counselled as regards the risk and benefits. She is helped to make an informed choice."